A patient has developed an acute congestive glaucoma in his right eye. The prophylactic measure to be taken in the fellow eye is:
1. Topical steroids
2. Peripheral iridectomy
3. Antibiotics
4. Laser iridotomy

Correct answer: 4. Laser iridotomy